Hepatomegaly with liver pulsations indicates
1. TR
2. MR
3. Pulmonary hypertension
4. MS

Correct answer: 1. TR

Explanation: Ref Harrison 19 th ed pg 1548 AyatoSys pulsqtpuls of liver and marked hepatomegaly are characteristic features of tricuspid regurgitation.